Rinne's test is negative in
1. Presbycusis
2. CSOM
3. Labyrinthitis
4. Meniere's disease

Correct answer: 2. CSOM

Explanation: A negative Rinne test is seen in conductive deafness - when bone conduction is greater than air conduction. Chronic suppurative otitis media is a disease of the middle ear and hence causes conductive deafness. (Ref: Diseases of EAR, NOSE AND THROAT by PL DHINGRA - 6th Edition. Page no. 22)